Screening method of medullary carcinoma thyroid is:
1. Serum calcitonin
2. Serum calcium
3. Serum alkaline phosphatase
4. Serum acid phosphatase

Correct answer: 1. Serum calcitonin

Explanation: Medullary Carcinoma Thyroid (MTC):

Neuroendocrine carcinoma arising from parafollicular ‘C’ cells of thyroid.
Parafollicular ‘C’ cells are derived from the ultimobranchial bodies and secrete calcitonin.
‘C’ Cells are concentrated superolaterally in thyroid lobes, from where MTC usually develops.
Most MTCs (75-80%) arise sporadically.
Spread is both lymphatic and hematogenous.
MC site of metastasis: Liver